The organism causing osteomyelitis in sickle cell anemia:
1. Salmonella
2. Staphylococcus
3. H. influenza
4. E.coli

Correct answer: 1. Salmonella

Explanation: Ans. is 'a' i.e., Salmonella o Most common cause of osteomyelitis in sickle cell anemia is salmonella.